Which of the following enzymes is/are involved in neoglucogenesis all except:
1. Phosphoglycerate kinase
2. Fructose 1, 6-biphosphatase
3. Phosphoglucomutase
4. Pyruvate carboxylase

Correct answer: 3. Phosphoglucomutase

Explanation: C i.e. Phosphoglucomutase- Neoglucognesis (gluconeogenesis) involves all enzymes of glycolysis involved in bidirectional reactions such as phosphohexo isomeraseQ, aldolase, glyceraldehyde 3 phosphate dehydrogenase, phosphoglycerate kinase/mutaseQ, and enolase. Whereas for thermodynamically irreversible reactions of glycolysis, it uses pyruvate carboxylase & phosphoenol pyruvate (PEP) carboxykinaseQ in place of pyruvate kinase; fructose 1, 6 bi phosphataseQ in place of phosphofrctokinase and glucose 6 phosphataseQ in place of hexo/ glucokinase- Phosphoglucomutase is involved in Glycogen metabolismQ not gluconeogenesis.Glucose-6-PO4 ). Glucose - 1- PO4